A one month old infant presents with a spongy purplish eyelid mass. The most likely diagnosis is
1. Rhabdomyosarcoma
2. Capillary hemangioma
3. Neurofibroma
4. Metastatic Ewing's sarcoma

Correct answer: 2. Capillary hemangioma

Explanation: Capillary hemangioma is the most common eyelid tumor in children. Capillary hemangioma (strawberry naveus) It presents shortly after birth as a unilateral, raised bright red lesion usually in the upper lid; a deeper lesion appears purplish . frequently associated with ptosis. In majority of cases(75%), lesions resolve by age of 7 years It may be Associated with PHACES SYNDROME The lesion blanches on pressure & may swell on crying. Treatment -propranolol/Intralesional injection of triamcinolone, and vincristine (for resistant cases) - Neurofibroma Lids & orbits are commonly affected in neurofibromatosis type-1 (von Recklinghausen's disease).The tumor is usually of plexiform type resulting in mechanical ptosis & 'S'- shape deformity of upper lid - Rhabdomyosarcoma :presents as rapidly progressive proptosis of sudden onset in a child of 7-8 years . The clinical presentation mimics an acute inflammatory process. - Metastatic Ewing's sarcoma: metastasize M/C to lungs .rarely to eyes